In majority of the medical negligence cases, the burden of proof lies on the patient. which of the following is an exception to this?
1. Res Indicata
2. Res Ipsa loquitur
3. Calculated risk doctrine
4. Res Judicata

Correct answer: 2. Res Ipsa loquitur

Explanation: Res Ipsa loquitur ( the thing speaks for Itself ). In this case, negligent act is very obvious and the patient does not have to prove the doctor's guilt with medical evidence.